Erythropoiesis is promoted by all of the following except:
1. ACTII
2. Thyroxine
3. Oestrogen
4. Prolactin

Correct answer: 3. Oestrogen

Explanation: C i.e. Oestrogen